The following are features of adult respiratory distress syndrome except:
1. Hypoxia
2. Hypocapnia
3. Low protein pulmonary edema
4. Stiff lungs

Correct answer: 3. Low protein pulmonary edema

Explanation: ARDS has type 1 respiratory failure and hence choice A and B are correct. Stiff lungs are explained by decreased lung compliance. Since ARDS is an exudate, it is characterized by high protein pulmonary edema.